Physiological calcification of Skull in X-ray is seen in – a) Pineal glandb) Choroid plexusc) Red nucleusd) Basal ganglion
1. acd
2. bcd
3. abd
4. ab

Correct answer: 3. abd

Explanation: Normal variant (Physiological) intracranial calcification is seen in :- Pineal, choroid plexus, Dura, Basal ganglia, Habenular commissure, Dentate nuclei of cerebellum, Parasellar ligaments, and arachnoid granulation.